In order to expose the coeliac axis, left renal artery, superior mesenteric artery and abdominal aorta in a case of trauma, which of the following is performed
1. Left medial visceral rotation
2. Right medial visceral rotation
3. Cranial visceral rotation
4. Caudal cisceral rotation

Correct answer: 1. Left medial visceral rotation

Explanation: Supracolic injuries (aorta, celiac axis, proximal superior mesenteric artery, and left renal arteries) are best approached a left medial visceral rotation. This is done by incising the lateral peritoneal reflection (white line of Toldt) beginning at the distal descending colon and extending the incision along the colonic splenic flexure, around the posterior aspect of the spleen, and behind the gastric fundus, ending at the esophagus. The left colon, spleen, pancreas, and stomach are then rotated toward the midline. Reference: Schwartz's Principles of Surgery, 10th edition, pg no: 189- 190